On exposure to air urine colour changes to olive green in poison in -
1. Carbolic acid
2. Cyclophosphamide
3. Phenopthalein
4. Ethelene glycol

Correct answer: 1. Carbolic acid

Explanation: BLADDER AND KIDNEYS Blue- or green-colored urine Decreased urine output No urine output EYES, EARS, NOSE, MOUTH, AND THROAT Severe burns in the mouth and food pipe (esophagus) Yellow eyes STOMACH AND INTESTINES Abdominal pain - severe Bloody stools Diarrhea Nausea and vomiting - possibly bloody Stomach pain HEART AND BLOOD Low blood pressure Rapid heart rate LUNGS AND AIRWAYS Deep, rapid breathing Wheezing Trouble breathing (may be lifethreatening if inhaled) NERVOUS SYSTEM Coma (decreased level of consciousness and lack of responsiveness) Seizures Hyperactivity Lack of alertness (stupor) SKIN Blue lips and fingernails Burns Yellow skin WHOLE BODY Excessive thirst Heavy sweating Ref Harrison 20th edition pg 790